Propaganda is defined as –
1. Forcing of knowledge into mind
2. Active aquiring of knowledge
3. Requiring knowledge after thinking
4. Training of people to use judgment before acting

Correct answer: 1. Forcing of knowledge into mind

Explanation: Health education : Facilitate learning
Propaganda or publicity : Knowledge instilled in the mind of people.